Optimum  force for orthodontic bodily movement (translation) is:
1. 50 - 75 gms
2. 100 - 150 gms
3. 200 - 250 gms
4. 300 - 400 gms

Correct answer: 2. 100 - 150 gms